Polar bodies are formed during
1. Spermatogenesis
2. Organogenesis
3. Oogenesis
4. Morphogenesis

Correct answer: 3. Oogenesis

Explanation: Polar bodies are one of two small cells formed by the first and second meiotic division of oocytes; the first is usually released just before ovulation, the second not until discharge of the oocyte from the ovary; in mammals, the second polar body may fail to form unless the oocyte has been penetrated by a sperm.Ref: Ganong's review of medical physiology; 24th edition; page no: 401